Respiratory alkalosis occur in -
1. Excessive ventilation
2. Pyloric stenosis
3. Diabetic ketoacidosis
4. Primary hyperaldosteronism

Correct answer: 1. Excessive ventilation

Explanation: Excessive ventilation drives out CO2 from the body causing respiratory alkalosis.
Primary hyperaldosteronisni and pyloric stenosis cause metabolic alkalosis
Diabetic ketoacidosis causes metabolic acidosis
Consider the equation